The angle former is a special type of
1. Chisel
2. Excavator
3. Hatchet
4. Rotary instrument

Correct answer: 2. Excavator